Receptor for diphtheria toxin lies at ?
1. Cell membrane
2. Mucous membrane
3. Nucleus
4. None

Correct answer: 1. Cell membrane

Explanation: Ans. is 'a' i.e., Cell membrane Diphtheria toxin The diphtheria toxin acts by inhibiting protein synthesis. It inhibits polypeptide chain elongation in the presence of nicotinamide adinine dinucleotide (NAD) by inactivating elongation factor, EF - 2. The diphtheria toxin is a protein which consists of two fragments, A and B. Both fragments are necessary for the toxic effect : Fragment A - has enzymatic activity and inhibits protein synthesis by inhibiting the chain elongation by inactivating the elongation factor - 2 (Ef - 2). Fragment B - responsible for binding the toxin to the cells. The toxin binds to specific receptors (HB-EGF receptors) present on susceptible cells and enters by receptor-mediated endocytosis. Toxin has special affinity for certain tissues such as myocardium, adrenals and nerve endings.